True about V cholera O139 all except -
1. Clinical manifestations are similar 01 Eltor strain
2. First discovered in Chennai
3. Epidemiologically indistinguishable from 01 Eltor strain
4. Produces 01 Lipopolysaccharide

Correct answer: 4. Produces 01 Lipopolysaccharide